A two month old infant has undergone a major surgical procedure. Regarding postoperative pain relief which one of the following is recommended
1. No medication is needed, as infant does not feel pain after surgery due to immaturity of nervous system.
2. Only paracetamol suppository is adequate
3. Spinal narcotics intrathecal route
4. Intravenous narcotic infusion in lower dosage

Correct answer: 4. Intravenous narcotic infusion in lower dosage

Explanation: Ans. is 'd' i.e. Intravenous narcotic infusion in lower dosage Earlier it was believed that neonates and infants don't feel pain because of their immature nervous system. But it has now been definitively proved that they experience pain and therefore require analgesia for any surgical procedure. Various pain management options are available: for minor procedures, pacifers dipped in sucrose can be used, topical anesthetic ointment regional anaesthesia can be given such as caudal blocks for hernias and epidural or incisional catheter infusions (On-Q system) for large abdominal or thoracic incisions. for major painful procedures, intravenous narcotic agent is recommended. Morphine and fentanyl can be used. epidural analgesia and paraspinal blockade Paracetamol as oral suspension or as peranal suppositories can be used for mild to moderate pain.